Which of the following malignant disease of children has the best prognosis -
1. Wilm' s tumor
2. Neuroblastoma
3. Rhabdomyosarcoma
4. Primitive neuroectodermal tumor

Correct answer: 1. Wilm' s tumor

Explanation: Prognosis depends most importantly upon staging but there are multiple factors affecting the prognosis After going through the survival rates of these tumours and confirming our answer with a paediatric oncologist we found the Wilm's tumor to have the best prognosis among the given options. If you have time, go through the below given tables for your own satisfaction and conclusions. Wilm's tumour: CSDT 11/e n 1345 Stage 4 year Survival % Favurable histology Unfavourable istology Limited to kidney 97 89 Extends beyond kidney 94 68 Residual tumor confined to abdomen 88 68 Distant metastasis 82 55 Bilateral renal involvement 84 16 Rhabdom degsarcoma : CPDT 15/c' p 812 3 year disease free survival Predominant Pathologic subtype Head & Neck Embryonal Orbit 93% Parameningeal 71% Other 69% Genitourinary Embryonal (botryoid variant in bladder and vagina) Bladder and prostate 64-80% Vagina and uterus 60-80% Paratesticular 60-80% Extremities 56% Alveolar (50%) undifferentiated Trunk 57% Alveolar undifferentiated Neuroblastoma : CSDT 11/e o 1343 Staging and survival of Neuroblastoma Survival I. Tumor confined to site of origin 100% Ha. Unilateral tumour completely excised. Nodes Negative 80% IIb. Unilateral tumour, complete or incomplete excision nodes positive 70% III. Tumor infiltrating across the midline, or a unilateral tumor with contralateral nodes positive 40% IV. Remote disease in bone, soft tissue, distant nodes 15% V. Infants with stage I or stage II primary and spread to Liver skin or bone marrow. 85% Primitive neuroectodermal tumours PETS include -Medulloepithelioma - Medulloblastoma (known as PET-MB) - Primary cerebral neuroblastoma - Pineoblastoma - Ependymoblastoma Prognosis : 5 year survival rate is near about 75% after total tumor removal.